Dengue fever vector is a
1. Anopheles
2. Aedes
3. Culex
4. Mansoni

Correct answer: 2. Aedes